Using a lens of +14D, magnification of fundus of an emmetropic eye in indirect ophthalmoscopy is:
1. 5 times
2. 10 times
3. 25 times
4. 15 times

Correct answer: 1. 5 times

Explanation: Magnification of lens = DIOPTRIC POWER of eye/ diaoptric powr of lens =+60D/14D [?] 5x.